The fallopian tube
1. Is lined entirely by ciliated columnar epithelium
2. Has a submucous layer
3. Undergoes shedding during menstrual cycle
4. Surrounded by peritoneum on all sides expect along the line of attachment of mesosalpinx

Correct answer: 4. Surrounded by peritoneum on all sides expect along the line of attachment of mesosalpinx

Explanation: Fallopian tube Lined by columnar epithelium, partly ciliated, nonciliated, and peg cells It has 3 layers: serous, muscular and mucous membrane Changes occur in the tubal epithelium during menstrual cycle but are less pronounced, there is no shedding Serous layer consists of peritoneum on all sides except along the line of attachment of mesosalpinx Ref: D.C. Dutta's Textbook of Gynaecology, Pg no: 11, 6th edition